The most commonest cause for chronic cor pulmonale is
1. Recurrent pulmonary embolization
2. COPD
3. cystic fibrosis
4. Bronchial asthma

Correct answer: 2. COPD

Explanation: Ref Harrison 19 th ed pg 1505 Once patients with chronic pulmonary or pulmonary vascular disease develop cor pulmonale, the prognosis worsens. Although chronic obstructive pulmonary disease (COPD) and chronic bronchitis are responsible for approximately 50% of the cases of cor pulmonale .